All of the following are sources of vitamin A except -
1. Egg
2. Milk
3. Sunflower seeds
4. Tomato

Correct answer: 3. Sunflower seeds

Explanation: Vitamin A rich foods are egg ,fish,meat milk,green leafy vegetables,green and yellow fruits.REF.PARK'S TEXTBOOK OF PREVENTIVE AND SOCIAL MEDICINE.Editon-21.Page no.-568